Paricalcitol is FDA-approved for which of the following condition(s):
1. Rickets
2. Osteomalacia
3. Primary hyperparathyroidism
4. Secondary hyperparathyroidism

Correct answer: 4. Secondary hyperparathyroidism

Explanation: Paricalcitol: It is a synthetic calcitriol derivative Reduces serum PTH levels without producing hypercalcemia or altering serum phosphorus Administered orally or intravenously FDA-approved for treating secondary hyperparathyroidism in patients with CKD